Features of left side Ca colon are :a) Anemiab) Obstructionc) Altered bowel habitd) Melenae) Feculent vomiting
1. a
2. c
3. bc
4. ad

Correct answer: 3. bc